Berkesonian bias is a type of
1. Selection bias
2. Interviewer bias
3. Information bias
4. Recall bias

Correct answer: 1. Selection bias

Explanation: A special example of bias is berkesonian bias termed after doctor Joseph berkeson who recognized this problem. The bias arises because of different rates of admission to hospitals for people with different diseases (refer pgn:74 park 23 rd edition )